Which of the following conditions commonly progress to cor pulmonale -
1. Pulmonary thromboembolism
2. Bronchial asthma
3. COPD
4. Airway foreign body

Correct answer: 3. COPD